Contributory negligence is related with:
1. Eggshell skull rule
2. Master-servant rule
3. Avoidable consequence rule
4. Common knowledge rule

Correct answer: 3. Avoidable consequence rule

Explanation: Ans. Avoidable consequence rule